As per ICDS the recommended nutrition for 3 ?6 yrs age is__________ kcal and_______gm of proteins ?
1. 200/10
2. 300/10
3. 250/10
4. 500/15

Correct answer: 4. 500/15

Explanation: Ans. is 'd' i.e., 500/15